Staphylococcus aureus is a normal inhabitant of:
1. Throat
2. Nose
3. Skin
4. GIT

Correct answer: 2. Nose

Explanation: Ans. B: Nose Staphylococci are Gram-positive spherical bacteria. S. aureus colonizes mainly the nasal passages(especially anterior pares), but it may be found regularly in most other anatomical locales. S. epidermidis is an inhabitant of the skin.